What is injected in tuberculin Mantoux test?
1. Live attenuated Antigen abstract
2. Killed bacteria
3. Antigen abstract
4. Live bacteria in less concentration

Correct answer: 3. Antigen abstract